Cowden syndrome is associated with -
1. Medulloblastoma
2. Astrocytoma
3. Dysplastic gangliocytoma
4. PNET

Correct answer: 3. Dysplastic gangliocytoma

Explanation: Answer- C. Dysplastic gangliocytomaCowden syndrome- Dysplastic gangliocytoma of the cerebellum (Lhermite- duclos disease)